True about cryptococcus are all except
1. Primarily infects lung
2. Urease negative
3. India-ink is used
4. All are true

Correct answer: 2. Urease negative

Explanation: Ans. is `b i.e., Urease negative CRYPTOCOCCUS NEOFORMANS The only pathogenic yeast Four capsular serotypes - A, B, C and D It has polysaccharide capsule Most infections in immunocompromized patients are caused by serotype A. Pigeon droppings commonly contains serotype A and D. Eucalyptus tree contain serotype B. It is urease positive. Mode of transmission By inhalation of the fungus into the lung (most common) Through skin or mucosa (some times).